Tube cast is used for which of the following bones?
1. Knee
2. Ankle
3. Shoulder
4. Elbow

Correct answer: 1. Knee

Explanation: A i.e. KneeRef: Fundamentals of Orthopedics, 2nd edition, Mohindra and Jain, Jay pee Publishers, page 148Explanation:Tube (Cylinder) cast (Figure) is applied for undisplaced patellar fractures* seen in injury around the knee joint*.Plaster Casts and UsesName of castUsesMinerva castCervical and upper thoracic spine diseaseRisser's castScoliosisTurn-buckle castScoliosisShoulder spicaShoulder immobilizationU-Slab/hanging castFracture of the humerusHip spicaFracture of the femurCylinder cast/tube cast/ Patellar tendon bearingFracture of the patella, kneeCast (PTB cast)Fracture of the tibiaColie's cast (Hand shaking)Fracture lower end radiusGlass holding castFracture scaphoid